Salt losing nephropathy is seen in -
1. Protein Energy malnutrition
2. Post streptococcal glomerulonephritis
3. Amyloidosis of kidney
4. Interstitial nephritis

Correct answer: 4. Interstitial nephritis